All of the following agents may be used in the management of chronic hypocalcemia, except-
1. Etidronate
2. Thiazides
3. Elemental Calcium
4. Vatamin D analogs

Correct answer: 1. Etidronate